Dental fluorosis not associated with skeletal flourosis are seen at:
1. 1 ppm fluoride
2. 3 ppm fluoride
3. 8 ppm fluoride
4. 10 ppm fluoride

Correct answer: 2. 3 ppm fluoride